In tetany hyperexcitability is due to:
1. Low Ca++ causes | permeability to Na+
2. Prevent k+ release
3. Prevent Na+ & K+ release
4. |Ca++ produce generation of AP

Correct answer: 1. Low Ca++ causes | permeability to Na+

Explanation: Ans. (a) Low Ca++ causes | permeability to Na+(Ref: Ganong, 25th ed/p.380)Reason for hyperexcitability in tetany - low serum calcium levels moves more sodium ions entry into the cell leading to more frequent action potential generation